Which muscle will be paralyzed when radial nerve is injured in just below be spiral groove ?
1. Lateral head of triceps
2. Medial head of triceps
3. Long head of triceps
4. ECRL

Correct answer: 4. ECRL

Explanation: Ans. is 'd' i.e., ECRLRadial nerve injury Radial nerve injury may be high or low. 1. High radial nerve palsyInjury is before the spiral grooveAll muscles supplied by radial nerve are paralysed. 2. Low radial nerve palsyInjury is after the spiral groove.Low radial nerve palsy may be of two types.Injury occurs between the spiral groove and elbow joint. Muscles involvement is : ?Elbow extensors (Triceps, anconeus) are spared.Wrist, elbow and finger extensors are paralysed.Sensory loss in first web space (on dorsal side)Injury occurs below the elbow joint.Elbow extensors (triceps, anconeus) and wrist extensors (ECRL) are spared.Finger extensors (extensor digitorum, extensor digiti minimi, extensor indicis) and thumb extensors (extensor pollicis longus & brevis) are paralysed.Sensory loss in first web space ( on dorsal side).